Testosterone secreted by;
1. Leydig cell
2. Sertoli cell
3. Theca lutein
4. Granulosa cell

Correct answer: 1. Leydig cell

Explanation: Testosterone is secreted by Leydig cell In the testes, Leydig cells arise from the original mesoderm of the genital ridge and lie between the testicular cords. Leydig cells begin to secrete testosterone by 8-week gestation due to stimulation of the testes by human chorionic gonadotropin (hCG).